"RHIME" is:
1. A form of verbal autopsy
2. A mode of imparting non formal education
3. A method of behaviour therapy
4. A new hormonal contraceptive

Correct answer: 1. A form of verbal autopsy

Explanation: RHIME is Representative, Re-sampled, Routine Household Interview of Mortality with Medical Evaluation. Under the Sample Registration Surveys since 2000, RHIME has been used as an enhanced form of verbal autopsy for categorization of causes of death especially with reference to maternal mortality. Ref: Park, 21st Edition, Page 516.